In hirschberg corneal reflex test, corneal light reflex falls in the centre of in between the border of pupil and limbus, the angle of squint is
1. 15°
2. 30°
3. 45°
4. 60°

Correct answer: 2. 30°

Explanation: A. border of pupil - 15o.
B. limbus - 45o.
Centre of in B/w A & B (45o - 15o = 30o).